All of the following statements are true, except ?
1. Medulla is thin and fragmented in human hair
2. Medullary index > 0.5 in animal hair
3. Cortex is thin in human hair
4. Animal hair is coarse and thick

Correct answer: 3. Cortex is thin in human hair

Explanation: Human hair :

Cortex is thick
Medulla is thin and fragmented 
Medullary index < 0.3